Turner's syndrome is maximally associated with the following cardiac condition:
1. Aortic stenosis
2. Coarctation of aorta
3. VSD
4. Mitral valve prolapse

Correct answer: 2. Coarctation of aorta

Explanation: The most common cardiovascular abnormalities are bicuspid aortic valve, which is present in 10% to 20%, and coarctation of aorta, present in 10% of adult cases. The prevalence of these abnormalities is higher in children. Less common cardiovascular anomalies include, Aortic stenosis Systemic hypertension Mitral valve prolapse Conduction defects Partial anomalous venous drainage Ventricular septal defect (VSD) Ref: Marian A.J., Brugada R., Roberts R. (2011). Chapter 82. Cardiovascular Diseases Caused by Genetic Abnormalities. In V. Fuster, R.A. Walsh, R.A. Harrington (Eds), Hurst's The Heart, 13e.